Capsicum seed can be confused with ?
1. Strychnine
2. Dhatura
3. Risinus
4. Opiun

Correct answer: 2. Dhatura

Explanation: Ans. is 'b' i.e., Dhatura